Retromammary abscess arises from:
1. Tuberculous rib
2. Infected hematoma
3. Chronic empyema
4. All of the above

Correct answer: 4. All of the above

Explanation: Ans. (d) All of the above(Ref. Internet Source)* Retromammary abscess is an extension from Breast abscess, Empyema Thoracis, Osteomyelitis of Ribs etc.* No need to drain the Retromammary abscess. Conservative treatment is enough.